Hydrocephalus in the fetus is diagnosed by all except :
1. Large fontanelle with widely separated sutures as felt on PV examination
2. High floating head
3. Serial ultrasound
4. CPD

Correct answer: 4. CPD

Explanation: CPD